Voluntary retrusion of mandible in closed mouth is done by which muscles?
1. Anterior belly of digastric
2. Posterior fibers of temporalis
3. Posterior belly of digastric
4. Deep fibers of masseter

Correct answer: 2. Posterior fibers of temporalis